Cortical representation of the body in the cerebrum is-
1. Horizontal
2. Vertical
3. Tandem
4. Oblique

Correct answer: 2. Vertical

Explanation: Cortical representation of the body
-        Post central gyrus of the parietal lobe
-        Represented upside down, vertical.
-        Feet represented at the top
-        Face represented at the foot of the gyrus